The selective β1 receptor agonist is
1. Dobutamine
2. Dopamine
3. Atenolol
4. Salbutamol

Correct answer: 1. Dobutamine